Urogenital diaphragm is made of all the following except
1. Deep transverse perinei
2. Perineal membrane
3. Colle's fasicia
4. Sphincter urehrae

Correct answer: 3. Colle's fasicia

Explanation: The urogenital diaphragm is a triangular muscle sheet formed by the sphincter urethrae and deep transverse perinei muscles. On the deeper aspect it is covered by a thin layer of endopelvic fascia called the suerior fascia of the urogenital diaphragm. and on the superficial aspct it is covered by th eperineal membrane called inferior fascia of urogenital diaphragm. Colle's fascia lies outside the urogenital diaphragm between which and the perineal membrane lies the deep perineal pouch. reference: Textbook of anatomy ,Abdomen and lower limb,Vishram Singh, 2nd edition, page no.227,230